n humans carbohydrates are stored as:
1. Glucose
2. Glycogen
3. Starch
4. Cellulose

Correct answer: 2. Glycogen

Explanation: Ans: b (Glycogen) Ref: Vasudevan Sreekumari, 4th p. 69; 5th ed, p. 68Glycogen is composed of glucose units joined by a- 1.4 and 1.6 linkages.Starch and cellulose are plant carbohydrates.Glucose is not the storage form of carbohydrates.Few points about the glycogen synthesis:* synthesis of glycogen granules begin with core protein 'Glycogenin'.* Rate limiting enzyme - glycogen synthase* Glycogen synthase forms a-1, 4 glycosidic bond.* Branching enzyme is glycosyl - 4: a-1,6 transferase.Glycogenolysis:* Rate limiting step - Glycogen phosphorylase.* Breaks a-1,4bond.* Debranching enzyme - Glucosyl a-1,4: a-1,4 transferase and a-1.6 glucosidase.